Internal resorption is due to_____________
1. Pulp necrosis
2. Acute inflammation of pulp
3. Chronic inflammation of pulp
4. None of the above

Correct answer: 3. Chronic inflammation of pulp